Down Syndrome, All are seen except –
1. t(14 ; 21)
2. Trisomy 21
3. t(11 : 14)
4. t(15 :21)

Correct answer: 3. t(11 : 14)

Explanation: In 95% of cases of Down Syndrome - trisomy of 21
Extra chromosome is of maternal in origin
1% have mosaic with 46 chromosomes
4% have Robertsonian translocation.
t(13:21)
t (14 : 21)
t (15 : 21)
Very rarely long arm of chromosome 21 is triplicate (Partial trisomy)